Which of the following drugs can precipitate angina?
1. Amlodipine
2. Nifedipine
3. Diltiazem
4. Verapamil

Correct answer: 2. Nifedipine

Explanation: Ans. B. NifedipineRisk of angina is with peripherally acting CCB due to short duration of action and development of reflex tachycardia. This type of risk is seen with nifedipine.